Action of chlorine in water is through:
1. Hypochlorous acid
2. HCL
3. Both of the above
4. None of the above

Correct answer: 1. Hypochlorous acid

Explanation: Hypochlorous acid